Bromocriptine inhibits: (Repeat)
1. Prolactin
2. Vasopressin
3. Imipramine
4. Levodopa

Correct answer: 1. Prolactin

Explanation: Ans: A (Prolactin) Ref: Essentials of Medical Pharmacology by K.D.Tripathi, 6th ed p.235Explanation:Prolactin is under predominant inhibitory control of hypothalamus through PRIH which is dopamine that acts on pituitary lactotrope D2 receptor.Dopamine agonists - |Plasma Prolactin levelsDopamine antagonists - |Plasma Prolactin levelsDopaminergic agonistsDopamineBromocriptineCabergolineDopaminergic antagonistsChlorpromazineHaloperidolMetoclopramideDopamine depleters (Reserpine. Methyldopa)